All of the following drugs are useful in detrussor instability EXCEPT:
1. Solefenacin
2. Tolterodine
3. Flavoxate
4. Duloxetine

Correct answer: 4. Duloxetine